Severity of mitral stenosis is best identified by:
1. Loud SI
2. Loud opening snap
3. Duration of mid-diastilic murmur
4. Intensity of mid-diastolic murmur

Correct answer: 3. Duration of mid-diastilic murmur

Explanation: Ans. is 'c' i.e., Duration of mid-diastolic murmur Severity of mitral stenosisThe severity of mitral stenosis is clinically judged byi) Distance between the opening snap and the aortic component of second sound?.o The closer the opening snap to the second sound the more severe the mitral obstruction.ii) Duration of the diastolic murmurQo The severity of mitral stenosis is not related to the intensity of the murmur but upon the duration of the murmur.'The duration of murmur correlates with the severity of stenosis 9 - Harrison 16th/e p. 1391 Also knowPrevious year questions on M.S.Auscultatory findingso S1-Accentuated (soft with calcification of valve)o S2-Normally split with P2 component accentuatedo Murmur-Low pitched rumbling diastolic murmuro Opening snap-Brief high pitched early diastolic soundX -ray featureso Straigthening of the left border of cardiac silhouetteo Prominence of main pulmonary arteryo Dilatation of upper lobe pulmonary veinso Kerely B lineso Backward displacement of esophagus